Concerning Brachial plexus, which of the following facts are true:
1. Formed by spinal nerve C5 - T1
2. Most common site of injury is upper trunk
3. It is surrounded by fascia derived from prevertebral fascia
4. All

Correct answer: 4. All

Explanation: A, B, C i.e. Formed by spinal nerve C5 - T1, Most common site of injury is upper trunk , Injury may occur during breech delivery, & Lower trunk injury results in hand deformity